which of the following is a temperment type
1. novelty seeking
2. histirionic
3. anakastic
4. narcisstic

Correct answer: 1. novelty seeking

Explanation: temperment is a genitically related body biases in the modulation of conditioned behavioral responses to various external stimuli. there are 4 types of temperment namely novelty seeking reward dependence harm avoidance persistence this is a important question that is asked in entrance examinations Ref.Kaplon and sadock, synopsis of psychiatry, 11 th edition, pg.no.744